Deep cardiac plexus is present at
1. Tracheal bifurcation
2. Myometrium
3. At end of svc
4. At right bronchus

Correct answer: 1. Tracheal bifurcation

Explanation: Deep cardiac plexus is situated in front of the bifurcation of trachea B D CHOURASIAS HUMAN ANATOMY UPPER LIMB THORAX VOLUME ,1 SIXTH EDITION, PAGE NO, 267